False statement for sweet syndrome:
1. May be associated with high fever
2. Neutophilia not present
3. May be associated with haematological malignancy
4. Pseudovesiculation present

Correct answer: 2. Neutophilia not present

Explanation: Ans: B (Neutophilia not present) "Erythematous, tender, papuio-nodulo-plaques and targetoid lesions with pseudovesiculationQ is present in sweet syndrome"-www.medscape.com/viewarticie/502369_11Acute Febrile Neutrophilic Dermatosis (Sweet's syndrome) Harrison 19th/366,487, Uth/333Sweet's syndrome is characterized by red to red-brown piaques and nodules that are frequently painful and occur primarily on the head, neck, and upper extremities.The patients also have fever neutrophiliaQ, and a dense dermal infiltrate of neutrophils in the lesions.In -10% of the patients there is an associated mahgnancy. most commonly acute myelogenous leukemiaC}. Sweet's syndrome has also been reported with lymphoma, myeloma, myelodysplastic syndromes, and solid tumors (primarily of the genitourinary tract) as well as drugs (e.g., aU-trans- retinoic acid).The differential diagnosis includes neutrophilic eccrine hidradenitis and atypical forms ofpyoderma gangrenosum.Extracutaneous sites of involvement include joints, muscles, eye, kidney (proteinuria, occasionally glomerulonephritis), and lung (neutrophilic infiltrates).The idiopathic form of Sweet's syndrome is seen more often in women, following a respiratory tract infection.